A woman who gave birth 1 day ago left the child in a railway station. This was witnessed by porter in the station and later the mother apprehended. In such a scenario, she would be punishable under:
1. IPC 318
2. IPC 317
3. IPC 307
4. IPC 320

Correct answer: 2. IPC 317

Explanation: If a father or mother of a child below the age of 12 years, or anyone having the care of such a child, leaves such a child in any place with the intention of abandoning the child shall be punishable with 7 years imprisonment as per section 317 IPC. IPC 318 deals with concealment of birth and is punishable with 3 years imprisonment. IPC 307 deals with attempted murder. IPC 320 deals with grievous hurt. Ref: Textbook of Forensic Medicine and Toxicology by Narayan Reddy, Edition 21